Primary Membranous Nephropathy has antibodies against ?
1. Phospholipase Al receptor
2. Phospholipase A2 receptor
3. Phospholipase A3 receptor
4. Phospholipase A4 receptor

Correct answer: 2. Phospholipase A2 receptor

Explanation: Ans. is 'b' i.e., Phospholipase A2 receptorPrimary Membranous NephropathyPrimary (also called idiopathic) membranous nephropathy is considered to be an autoimmune disease linked to certain HLA alleles such as HLA-DQA1 and caused in most cases by antibodies to a renal autoantigen.In many adult cases the autoantigen is the phospholipase A receptor.The lesions bear a striking resemblance to those of experimental Heymann nephritis, which, as you might recall, is induced by antibodies to the megalin antigenic complex present in the rat podocyte, which is the antigenic counterpart of the human phospholipase A2 receptor.